who introduced antipsychotic chlorpromazine
1. delay and denniker
2. john f cade
3. maslow
4. erik erikson

Correct answer: 1. delay and denniker

Explanation: History * CHARPENTEIR produced chlorpromazine * LABORIT ,surgeon used in his patients to reduce anxiety * DELAY AND DENNIKER used in psychiatric patients * It comes under the group of PHENOTHIAZINES * Reserpine, derived from rafulwia alkaloids== Indian involved here Ref. kaplon and sadock, synopsis of psychiatry, 11 th edition, pg no. 935